Most important adhesion molecule for diapedesis
1. PECAM
2. Selectin
3. Integrin
4. Mucin like glycoprotien

Correct answer: 1. PECAM

Explanation: CD31 or PECAM-1 (platelet endothelial cell adhesion molecule). is the most important molecule for diapedesisRobbins 9the p.76 -77